A patient with abdominal injury presents to the emergency department with signs of signs of peritonitis and shock. Airway and breathing were secured and IV fluids were started with 2 large bore cannulas. The next line of management should be
1. FAST
2. Exploratory Laparotomy under general anesthesia
3. Insertion of abdominal drain followed by laparotomy
4. Laproscopy

Correct answer: 2. Exploratory Laparotomy under general anesthesia

Explanation: Treatment for abdominal injury includes Emergency laparotomy.
Indications include  

Frank haemoperitoneum
Significant diagnostic peritoneal lavage
Haemodynamically unstable patient 
U/S or CT scan shows significant intra-abdominal injuries